All the following rules are related to legal responsibility of an insane person, EXCEPT:
1. Curren's rule
2. Rule of nine
3. Durham's rule
4. Mc Naughten's rule

Correct answer: 2. Rule of nine

Explanation: Rule of nine is used for the estimation of surface area of body involved in burns. According to the rule of nine, surface area represented by head and neck is 9%, each upper limb is 9%, front and back of each lower limb is 9% each, front of chest is 9%, front of abdomen is 9%, back of abdomen is 9% and external genitalia is 1%. Ref: The Essentials of Forensic Medicine and Toxicology By Dr K S Narayan Reddy, 27th Edition, Pages 423-4